Best diagnosis of the ectopic gastric mucosa of Meckel's diverticulum is by
1. Fluoroscopy
2. Occult blood test in stool
3. Ultrasound abdomen
4. Radionuclide scan

Correct answer: 4. Radionuclide scan

Explanation: Plain abdominal radiography, CT, and ultrasonography are rarely helpful.In children, the single most accurate diagnostic test for Meckel's diverticula is scintigraphy with sodium 99mTc-pertechnetate. The 99mTc-pertechnetate is preferentially taken up by the mucus-secreting cells of gastric mucosa and ectopic gastric tissue in the diverticulum. The diagnostic sensitivity of this scan has been reported as high as 85%, with a specificity of 95% and an accuracy of 90% in the pediatric age group.In adults, however, the sensitivity of 99mTc-pertechnetate scan falls to 63% because of the presence of less gastric mucosa in the diverticulum compared with that noted in the pediatric age group.Sabiston 20e pg:1310